Drugs used in ADHD are -
1. Atomoxetine
2. Methylphenidate
3. Dextro-amphetamine
4. All

Correct answer: 4. All

Explanation: Ans. is 'a' i.e., Atomoxetine; 'b' i.e., Methyphenidate; 'c' i.e., Dextro-amphetamine